A pregnant woman with fibroid uterus develops acute pain in abdomen with low grade fever and mild leucocytosis at 28 weeks. The most likely diagnosis is?
1. Preterm labour
2. Torsion of Fibroid
3. Red degeneration of Fibroid
4. infection in Fibroid

Correct answer: 3. Red degeneration of Fibroid

Explanation: Most are asymptomatic; however, severe localized abdominal pain can occur if a fibroid undergoes so-called “red degeneration,” torsion, or impaction.
Pain is the most common complication of fibroids in pregnancy, and is seen most often in women withfibroids > 5 cm during the second and third trimesters of pregnancy.